Iminoquimod is used in the treatment of -
1. Anogenital warts
2. Tenia versicolor
3. Melanoma
4. Sezary syndrome

Correct answer: 1. Anogenital warts

Explanation: Ans. is 'a' i.e., Anogenital wart Treatment options in wartsType of wartsTreatment optionsVarruca vulgarisCryotherapyElectric cautery, RFAWart paint (non on face, anogenital region)Mechanical removalPalmoplantar wartsWart paintCryotherapyFormain soaksFiliform wartsElectric cautery, RFAPlane wartsTrichloracetic acid touchRetionoic acidEpidermodyplasia verruciformisAcitretinAnoenital wartsPodophyllin/podophyllotoxinlmiquimodCryotherapy